Which of the following muscles develop from 6th pharyngeal arch
1. Cricothyroid
2. Thyrohyoid
3. Stylopharyngeus
4. Thyroaretynoid

Correct answer: 4. Thyroaretynoid

Explanation: Derivatives of the Pharyngeal Arches and their Innervation Pharyngeal arch Nerve Muscles Skeleton 1st Vth nerve- trigeminal: maxillary and mandibular divisions - Muscles of Mastication (temporal: masseter, medial, lateral pterygoids) - Myelohyoid - Anterior belly of digastric - Tensor veli palatini - Tensor tympani Premaxilla, Maxilla, Zygomatic bone, Part of temporal bone. Meckel's cartilage, Mandible, Malleus. Incus, Anterior ligament of malleus, Sphenomandibular ligament 2nd VIIth nerve- Facial - Muscles of facial expression (buccinator, auricularis, frontalis, platysma, orbicularis oris, orbicularis oculi) - Posterior belly of digastric, - Stylohyoid, - Stapedius Stapes, Styloid process, Stylohyoid ligament, Lesser cornu and upper portion of body of hyoid bone 3rd IXth nerve- glossopharyngeal - Stylopharyngeus Greater cornu and lower portion of body of hyoid bone 4th Xth nerve- Superior laryngeal nerve - Pharyngeal muscles - Cricothyroid - Levator veli palatini Thyroid cartilage Epiglottis 6th Xth nerve - Recurrent laryngeal nerve - All Intrinsic muscles of larynx except cricothyroid Cricoid cartilage Arytenoid cartilage Corniculate Cuneiform